The following poisons act by causing inhibition of complex IV of respiratory chain except
1. Cyanide
2. Malonate
3. H2S
4. CO

Correct answer: 2. Malonate

Explanation: Ans. b (Malonate) (Ref. Harper 28th/108; 109)Harper 18thA08:The classic poisons H2S, carbon monoxide, and cyanide inhibit Complex IV and can therefore totally arrest respiration. Malonate is a competitive inhibitor of Complex II.PoisonInhibits1. Barbiturates (amobarbital)2. Malonate3. Antimycin A and dimercaprol4. H2S, carbon monoxide, and cyanide5. Atractyloside# Electron transport via Complex 1 by blocking the transfer from Fe-S to Q.deg# Competitive inhibitor of Complex II.# Respiratory chain at Comfllex III# Complex IV and can therefore totally arrest respiration.0# Oxidative phosphorylation by inhibiting the transporter of ADP into and ATP out of the mitochondrion.